The average number of adult female mites on an individual suffering from the common form of scabies is about:
1. 2
2. 12
3. 16
4. 24

Correct answer: 2. 12

Explanation: The average number of adult female mites on an individual suffering from the common form of scabies is about 12. Only in crusted (Norwegian) scabies are large numbers of mites present. Ref: Rook's textbook of dermatology, 8th edition Pg 38.37.